Ionizing radiation commonly used for disinfection?
1. UV rays
2. Infrared
3. X-rays
4. Gamma rays

Correct answer: 4. Gamma rays

Explanation: Ans. is'd' i.e., Gamma rays There are 2 general types of radiation used for sterilization, ionizing radiation and non-ionizing radiation. Ionizing radiation is the use of short wavelength, high-intensity radiation to destroy microorganisms. This radiation can come in the form of gamma or X-rays that react with DNA resulting in a damaged cell.